Which of the following sulphonamides is available as an oral preparation?
1. Sulphacetamide
2. Sulphadiazine
3. Silver sulphadiazine
4. Mafenide

Correct answer: 2. Sulphadiazine

Explanation: Sulfadiazine is a sulfonamide which can used orally, as it is rapidly absorbed & rapidly excreted. It is 50% plasma protein bound & 20-40% acetylated. It has good penetration in CSF & brain, therefore used in the treatment of meningitis. Ref: Essentials of Medical Pharmacology, 5th Edition, Pages 641-3